Abductor of vocal cord is ___________
1. Posterior cricoarytenoid
2. Cricothyroid
3. Interarytenoid
4. Lateral cricoaretynoid

Correct answer: 1. Posterior cricoarytenoid

Explanation: INTRINSIC MUSCLES ACTING ON VOCAL CORDS: Abductors Posterior cricoarytenoid Adductors Lateral cricoarytenoid, lnterarytenoid (transverse arytenoid) Thyroarytenoid (external part) Tensors Cricothyroid Vocalis (internal part of thyroarytenoid) INTRINSIC MUSCLES ACTING ON LARYNGEAL INLET: Openers of laryngeal inlet Thyroepiglottic (part of thyroarytenoid) Closers of larylngeal inlet Interarytenoid (oblique part), Aryepiglottic (posterior oblique part of interarytenoids)